True about acid phosphatase is ?
1. Acts at pH 8-9
2. Prostate isoform is tartarate resistant
3. Erythrocyte isoform is inhibited by cupric ions
4. All of the above

Correct answer: 3. Erythrocyte isoform is inhibited by cupric ions

Explanation: Acid phosphataseAcid phosphatase (ACP) hydrolyzes phosphoric acid esters at pH 5-6.It is found in different isoforms in prostate, spleen, liver, erythrocytes, platelets and bones. Prostatic and erythrocyte isoform can be differentiated by ?i) Prostatic isoform is inhibited by tartarate (tartarate sensitive), whereas erythrocyte isoform is not.ii) Erythrocyte isoform is inhibited by formaldehyde and cupric ions, whereas prostatic isoform is not.Acid phosphatase, particularly prostatic enzyme, is unstable at room temperature above 37degC and at pH above 7.0 and more than 50% of the acid phosphatase activity may be lost in 1 hour at room temperature.